"Face of giant panda" sign on MRI brain is seen in
1. Wilson's disease
2. Japanese encephalitis
3. Rasmussen's encephalitis
4. Wernicke's encephalopathy

Correct answer: 1. Wilson's disease

Explanation: The "Face of the Giant Panda" sign, "Panda Sign of the Midbrain," or "Double-Panda Sign" refers to a characteristic "panda's face" appearance in MRI images of patients suffering from Wilson's disease. Along with Kayser-Fleischer rings, the sign is helpful in diagnosis ref - Researchgate.net